The power of reduced eye is
1. 17 D
2. 45 D
3. 59 D
4. 66 D

Correct answer: 3. 59 D

Explanation: Ans. 59 D